Multiloculated cystic lesion in liver is a CT feature of
1. Hydatid cyst
2. Necrotic mass
3. Hepatocellular carcinoma
4. Metastasis

Correct answer: 1. Hydatid cyst

Explanation: Ans: a) Hydatid cyst On CT scans hepatic echinococcal cysts (hydatid cyst) appear as well defined round or oval cystic masses with a density near that of water.Daughter cysts, indicating viability, give the lesion a multilocular appearance. Extensive calcification usually indicates that the lesion is no longer viable.Liver is the commonest site of hydatid disease. Most cysts are in the right lobe and are clinically silent.Calcification is seen in 20-30% of cases and although calcification doesn't necessarily indicate death of the parasite, extensive calcification favours an inactive cyst.Hydatid cyst in kidneyCyst is usually polar and calcification is curvilinear or heterogenous.Hydatid cyst in lungsMost common in right lower lobes.Various Chest x-rav signsi) Meniscus / Moon signCyst communication with bronchial tree.ii) Crescent signThin radioluscent crescent in uppermost part of the cyst due to rupture of pericyst with air dissecting between pericyst and laminated membrane.iii) Cumbo sign:Air fluid level inside endocystiv) Serpent sign:Collapsed membrane inside cyst outlined by air.v) Water lilly sign/ Sign of CamalotteCompletely collapsed crumpled cyst membrane floating on the cyst fluid.Regarding option d -metastases: they are uniloculated purely cystic lesions in liver - seen with adenocarcinomas such as mucinous carcinoma of the colon and cystadenocarcinoma of the ovary.Option c - Hepatocallular carcinomaAppear as a hypodense mass with attenuation values more than that of water. It is usually unilocular but may appear multifocal.